Sterilization is commonly performed at which site of fallopian tube :
1. Ampulla
2. Infundibulum
3. Isthmus
4. Cornua

Correct answer: 3. Isthmus

Explanation: Ans. is c i.e. Isthmus